The association of membraneous tonsillitis with petechial eruption on the palate and generalized lymphadenopathy should suggest the diagnosis of:
1. Cat scratch disease
2. Infectious mononucleosis
3. Measles
4. Scarlet fever

Correct answer: 2. Infectious mononucleosis